Blom singer prosthesis for voice rehabilitation is used in?
1. Total laryngectomy
2. Near total laryngectomy
3. Hemi laryngectomy
4. None

Correct answer: 1. Total laryngectomy

Explanation: Ansis'a'ie.,Total Laryngectomy[Ref Dhingra /ep.288.Vocal rehabilitation after total laryngectomyAfter laryngectomy, various methods can be used for communication :-l) Esophageal speech:Patient is taught to swallow air and hold it in the upper esophagus and then slowly eject it from the esoPhagus into the pharynx.It is the most commonly used method.2) Artificial larynx:Who Fail to learn esophageal speech.The Device Include(1)Electrolaryzrand(ii)Transoral Pneumatic device.3) Tracheo-esophageal speech:Attempt is made to carry air from trachea to esophagus or hypopharynx by creation of skin-lined fistula or by placement of an artificial prosthesis.Bloom singer prosthesis and provox prosthesis are used for T-E speech.